Which of the following may result in Seal like limbs deformity in new-born?
1. Diethylstilbestrol
2. Thalidomide
3. Valproate
4. Progestins

Correct answer: 2. Thalidomide

Explanation: Ans. B. Thalidomidea. Intake of thalidomide by pregnant women is associated with the presence of Phocomelia and multiple defects of internal organs of neonates. Phocomelia is a rare birth defect that causes severe birth defects, especially of the upper limbs. The bones of the arms, and in some cases other appendages, may be extremely shortened and even absent.b. Diethylstilbestrol can cause vaginal clear cell adenocarcinoma in girls and young women exposed to it in utero.c. Valproate can cause spina bifida and other neural tube defects in the fetus when taken by pregnant women. It can also cause heart and limb abnormalities.d. Progestins can cause virilization of female foetuses